The regression between height and age follows y = a + bx. The curve is -
1. Hyperbola
2. Sigmoid
3. Straight line
4. Parabola

Correct answer: 3. Straight line